Regarding Juvenile papillomas true is/are-a) Singleb) Multiplec) Seen in childrend) Recurrente) Associated with HPV
1. bce
2. abd
3. bcde
4. acde

Correct answer: 3. bcde